Rituximab is used in the treatment of
1. Melanoma
2. Basal cell carcinoma
3. Pemphigus
4. Chloasma

Correct answer: 3. Pemphigus

Explanation: Rituximab * Chimeric IgG monoclonal antibody targeting the B-cell surface antigen (CD20) * FDA approved for non-Hodgkin's lymphoma, chronic lymphocytic leukemia, and RA unresponsive to other treatments * Off-label dermatologic uses include bullous dermatoses (especially pemphigus vulgaris and severe bullous pemphigoid), autoimmune connective tissue diseases, chronic graft-versus-host disease, vasculitis, and cutaneous B-cell lymphoma * Depletion of B-cells occurs within 2 to 3 weeks of initial treatment with sustained depletion for an average of 6 months; B-cell numbers return to normal within the first year of treatment * Relative contraindication in patients with history of bronchospasm, hypotension, or angioedema * Pregnancy category C * Common adverse effects include: hypertension, nausea, upper respiratory tract infection, arthralgia, pyrexia, and pruritus; most common are infusion reactions, which are generally mild and occur with the first infusion # Patients with history of cardiac or pulmonary conditions should be more closely monitored as they are susceptible to severe infusion reactions * Serious SEs: HBV reactivation, progressive multifocal leukoencephalopathy SJS/TEN, serious infection, hepatic failure and myelosuppression. Ref:- Review of Dermatology by Alikhan pg num:-39,40